In emergency tracheostomy the following structures are damaged except?
1. Isthmus of the thyroid
2. Inferior thyroid artery
3. Thyroid ima
4. Inferior thyroid vein

Correct answer: 2. Inferior thyroid artery

Explanation: Isthmus, thyroid ima artery and inferior thyroid veins are midline structures and thus can be injured during tracheostomy, more so during emergency tracheostomy. Inferior thyroid artery, a branch of the thyrocervical trunk of the subclavian artery lies laterally away from midline, thus can escape injury. In emergency tracheostomy following structures can be damaged: - Isthmus - Inferior thyroid veins - Thyroid ima artery - Left brachio-cephalic vein, jugular venous arch - Pleura (especially infants) - Thymus - Esophagus (the trachea is small, mobile, and soft in infants damage the esophagus)